In a child with itchy lesions over the groin and prepuce. Which of the following should not be advised
1. Bath and apply scabicidal
2. Treat family
3. Boil the clothes
4. IV antibiotics

Correct answer: 4. IV antibiotics

Explanation: Systemic antibiotics seldom required for mild secondary pyoderma seen in early stages of scabies.